Hinge fracture is:
1. Depressed fracture
2. Sutural fracture
3. Orbital fracture
4. Basilar fracture

Correct answer: 4. Basilar fracture

Explanation: Ans. Basilar fracture